High fusing porcelains are used:
1. For crowns
2. In denture teeth
3. With titanium alloys
4. Over aluminious core porcelain

Correct answer: 2. In denture teeth